Cock up splint is used in treatment of -
1. Radial nerve palsy
2. Ulnar nerve palsy
3. Median nerve palsy
4. Posterior interosseous nerve palsy

Correct answer: 1. Radial nerve palsy

Explanation: Ans. is 'a' I.e., Radial nerve palsy Maheshwari 4th/ep. 24]Splintso Any material which is used to support a fracture is called splint.o Splints are used for immobilizing fractures; either temporarily during transportation or for definitive treatment,o The most commonly employed splints is plaster of paris (POP) splint. Various POP splints are.Casts : - Here the POP roll completely encircles the limb.Slab : - It is not completely encircles the limb, but only one half or one third circumference.Spica : - This encircles a part of the body; e.g., hip spica for fractures around hip.o Important non-pop splints are : -NameUseCramer-wire splintThomas splintBohler-Braun splintAluminium splintDennis Brown splintCock-up splintKnuckle-bender splintToe-raising splintVolkmamfs splintFour-post collarAeroplane splintSOMI braceASHE (Anterior spinal hyperextension)Taylor's braceMilwaukee braceBoston braceLumbar corsetEmergency immobilizationFracture femur-anywhereFracture femur-anywhereImmobilization of fingersCTEVRadial nerve palsyUlnar nerve palsyFoot dropVolkmann's ischaemic contracture (VIC)Neck immbilisationBrachial plexus injuryCervical spine injuryDorso-lumbar spinal injury braceDorso-lumbar immobilisationScoliosisScoliosisBackache